Liquefactive necrosis is a feature of?
1. Heart
2. Brain
3. Lungs
4. Spleen

Correct answer: 2. Brain

Explanation: Ans. is 'b' i.e., Brain Liquefactive necrosiso It is the necrotic degradation of tissue that rapidly undergo softening and liquefaction because of the action of hydrolytic enzymes. The primary pathogenic mechanism is enzymatic digestion of cell. Liquefactive necrosis occurs after1) Infection i.e., suppurative inflammation (most common); and2) Ischemic necrosis of brain.